Uses of  α2 agonists are all EXCEPT:
1. To produce sedation
2. Glaucoma
3. Benign hyperplasia of prostate
4. Hypertension

Correct answer: 3. Benign hyperplasia of prostate